Topical mitomycin C is used to aid the following treatment
1. Endoscopic treatment of angiofibroma
2. Treatment of laryngotracheal stenosis
3. Skull base osteomyelitis
4. Sturge weber syndrome

Correct answer: 2. Treatment of laryngotracheal stenosis

Explanation: Mitomycin-C is an antineoplastic antibiotic that acts as an alkylating agent by inhibiting DNA and protein synthesis. ... Topical application of mitomycin C (0.4 mg/mL) was used as an adjuvant treatment in the endoscopic laser management of laryngeal and tracheal stenosis Ref: Internet sources.